A 30 year old patient with H/0 persistant antibodies to HCV for 6 months duration and his AST/ALT is normal. There is no symptom or stigmata of liver disease. The most appropriate approach:
1. Reassure the patient
2. Repeat titre every three years
3. Repeat enzymes every year
4. Determine HCV RNA levels

Correct answer: 4. Determine HCV RNA levels

Explanation: Answer is D (Determine HCV RNA levels) Antibodies against HCV in the blood indicate infection with Hepatitis C virus. If the infection persists for more than 6 months and viral replication is confirmed by HCV RNA levels, then the person can be confirmed as having chronic hepatitis C. The next step in the management of the patient in question would be to establish a serological diagnosis of chronic. hepatitis (which can be determined by HCV RNA levels in the setting of elevated antibodies to HCV for 6 months). Once a diagnosis of chronic hepatitis C is suggested by the presence of HCV RNA, levels of ALT should be determined to plan appropriate treatment us indicated in the previous question.